Regarding suckling reflex, which of the following is true
1. Has afferent hormonal and efferent neuronal components
2. Increases placental lactogen secretion
3. Increases the release of dopamine from the arcuate nucleus
4. Triggers the release of oxytocin by stimulating the supraoptic nuclei

Correct answer: 4. Triggers the release of oxytocin by stimulating the supraoptic nuclei

Explanation: When the baby suckles, neural signals from the nipple travel nerves to the spinal cord and up to the brain (afferent component), which triggers the release of oxytocin from the supraoptic nuclei (efferent component).